The average diameter of coronal dentinal tubules near the pulp is:
1. 0.2-0.5 microns
2. 2-3 microns
3. 0.2-0.3 microns
4. 7 microns

Correct answer: 2. 2-3 microns